Melatonin is derived from
1. Tyrosine
2. Tryptophan
3. Glutathione
4. None

Correct answer: 2. Tryptophan

Explanation: Tryptophan is first hydroxylated by tryptophan Hydroxylase 5-hydroxytryptophan is decarboxylated to serotoninSerotonin is acetylated Further methylated with the help of S adenosylmethionine (SAM)Ref: DM Vasudevan, 7th edition, page no: 241, fig 18.10